Radiation dose in mammography
1. 0.1 Gray/study
2. 0.01cGray/study
3. 0.1 cGray/study
4. 0.01 Gray/study

Correct answer: 3. 0.1 cGray/study

Explanation: Mammography Soft tissue radiographs are taken by placing the breast in direct contact with ultrasensitive film and exposing it to low-voltage, high-amperage x-rays. The dose of radiation is approximately 0.1 cGy and, therefore, mammography is a very safe investigation. The sensitivity of this investigation increases with age as the breast becomes less dense. In total, 5% of breast cancers are missed by population-based mammographic screening programmes; even in retrospect, such carcinomas are not apparent. Thus, a normal mammogram does not exclude the presence of carcinoma. Digital mammography is being introduced, which allows manipulation of the images and computer-aided diagnosis. Tomo-mammography is also being assessed as a more sensitive diagnostic modality. Ref:Bailey and love 27th edition Pgno :861